Helsinki declaration is for:
1. Ethical duties and rules for dentists in general practice
2. Ethical duties and rules for physicians in general practice
3. Ethical duties for biomedical research involving human subjects
4. All of the above

Correct answer: 3. Ethical duties for biomedical research involving human subjects